A 23 years old female presented with jaundice and pallor for 2 months. Her peripheral blood smear shows the presence of spherocytes. The most relevant investigation to arrive at a diagnosis is -
1. Retics count
2. Osmotic fragility test
3. Coombs test
4. Tests for PNH

Correct answer: 3. Coombs test

Explanation: . Coombs test